In raised ICT, anaesthetic agent of choice is :
1. Enflurane
2. Isoflurane
3. Ketamine
4. Ether

Correct answer: 2. Isoflurane